Harlequin ichthyosis is inherited as?
1. Autosomal dominant
2. Autosomal Recessive
3. X Linked dominant
4. X Linked recessive

Correct answer: 2. Autosomal Recessive

Explanation: Harlequin ichthyosis Harlequin ichthyosis is a rare autosomal recessive disorder in which the neonate is born with a thick covering of armor-like scales, severe ectropion and eclabium, and underdeveloped nose and ears. despite these consistent phenotypic features, a variety of biochemical and structural characteristics have been described. The finding of increased epidermal triglyceride content suggested a lipid defect, but an alteration in keratinization have also been described. Ref: Dermatology at the Millennium(edited by D.Dyall-Smith and R.Marks)page no.583